A 60-year-old man is brought to a psychiatrist with a 10-year history, that he suspects his neighbors and he feels that whenever he passes by they sneeze and plan against behind his back. He feels that his wife has been replaced by a double and calls police for help. He is quite well-groomed alert, occasionally consumes alcohol, likely diagnosis is:
1. Paranoid personality
2. Paranoid schizophrenia
3. Alcohol withdrawal
4. Conversion disorder

Correct answer: 2. Paranoid schizophrenia

Explanation: B i.e. Paranoid schizophreniaProblems of the patient: 1. From 10 years & i.e. started at the age of 50 years, 2. Feels that neighbors plan against him, 3. The delusion of doubles (wife has been replaced by a double), 4. He consumes alcohol occasionally. But the patient is well-groomed, alert. Approach to this case.